Normal residual volume is -
1. 500ml
2. 1200ml
3. 3000ml
4. 2400ml

Correct answer: 2. 1200ml

Explanation: Ans. is 'b' i.e., 1200 ml